Initial drug to start with newly detected hypertension in an 42 years old male with calcium stones is:-
1. Furosemide
2. Losartan
3. Atenolol
4. Chlorthalidone

Correct answer: 4. Chlorthalidone

Explanation: Chlorthalidone is a thiazide like diuretic which is a one of the first line drugs for hypertension. It is preferred since it decreases calcium excretion and Ca2+ do not deposits in kidney so prevent the formation of calcium stones. Furosemide (Loop diuretic)- Increases Ca2+ excretion and can precipitate the condition of pt.